Post Spinal Headache can last for
1. Upto 10 min
2. Upto 10 hours
3. 7 - 10 days
4. Upto 10 months

Correct answer: 3. 7 - 10 days

Explanation: C i.e. 7-10 days